Essential drugs ?
1. Included in national pharmacopoeia
2. Should always be present at PHC
3. Those that satisfy the primary health care needs of the population
4. Life saving medications

Correct answer: 3. Those that satisfy the primary health care needs of the population

Explanation: Ans. is 'c' i.e., Those that satisfy the primary health care needs of the population WHO has defined Essential Medications as those that satisy the priority health care needs of majority of the population.